Which of the following can be used treat post operative gastric paresis
1. Atropine
2. Methacoline
3. Bethanecol
4. Oxtremorine

Correct answer: 3. Bethanecol

Explanation: Bethanechol is a parasympathomimetic that acts on M3 receptors of Gastric smooth muscle to increase gut motility.